Most important stimulant for bile secretion is
1. Cholecystokinin
2. Secretin
3. Bile acid
4. Bile salt

Correct answer: 4. Bile salt

Explanation: Bile salts are the most important cholerectic or the substance that increases bile secretion. Cholecystokinin (CCK) is the most important cholagogue or substance that increases gallbladder contraction.